Secondaries are common in all, except:
1. Skull
2. Hand and feet bones
3. Proximal limb bones
4. Vertebrae

Correct answer: 2. Hand and feet bones

Explanation: Metastasis may occur any bone but most commonly involve axial skeleton (e.g. vertebra, pelvis, ribs,skull, sternum) > Proximal femur > humerus. Metastasis in small bone of hand and feet are uncommon and usually originates in cancer of lung, kidney and colon